Sickness absenteeism is an useful index to assess
1. State of health of workers
2. Worker management relationship
3. Working environment
4. Sincerity of workers

Correct answer: 1. State of health of workers

Explanation: Sickness absenteeism occurs when employees miss work for reasons stemming from health problems. The rate of sickness absenteeism is linked to the overall health of the workforce and also to specific factors in each individual profession. Ref : Park 23rd edition Pgno : 810